Biotin is a Co-enzyme for ?
1. Transketolase
2. Dehydrogenase
3. Oxidase
4. Carboxylase

Correct answer: 4. Carboxylase

Explanation: Ans. is 'd i.e., Carboxylase